The administration of succinylcholine to a paraplegic patient led to the appearance of dysrhythmias, conduction abnormalities and finally cardiac arrest. The most likely cause is -
1. Hypercalcemia
2. Hyperkalemia
3. Anaphylaxis
4. Hypermagnesemia

Correct answer: 2. Hyperkalemia